Primary ciliary dyskinesia is associated with all except -
1. Sterility in males
2. Hypothyroidism
3. Sinusitis
4. Respiratory infection

Correct answer: 2. Hypothyroidism

Explanation: Ans. is 'b' i.e., Hypothyroidism Kartagener's syndrome is characterized bv triad ofo Situs inversuso Chronic sinusitiso BronchiestasisIt is a subset of primary ciJiarv dyskinesiaPrimary ciliary dyskinesiao Primary ciliary dyskinesia (PCD, also called the immotile-cilia syndrome) is characterized by congenital impairment of mucociliary clearance (MCC).o Clinical manifestations includeChronic coughChronic rhinitis andChronic sinusitisOtitis and otosalpingitis (common in childhood)Nasal polyposis and agenesis of ike frontal sinusesClinical features of primary ciliary dyskinesiaPulmonaryRhinosinusitisOtitisCentral nervous systemFertilityo Mild respiratory distresso Runny nose ando Chronic secretoryo Chronic sinusitiso Infertilityo Increased incidence ofround the yearotitis media withcauses fatigue and(immoiilerespiratory infectionsnasal congestionrecurrent episodesheadachespermatozoawith chronic cough ando Nasal polyposisof acute otitis mediao Hydrocephalus duemotileexpectoration of Sitns inversusto impairedspermatozoa),mucopurluent sputum o Complete reversalfunction of o Bronchiestasis of the circulatoryependymal cilia | system and viscera Associated abnormalities o No adverse health o A number of congenital consequence abnormalities are : * Transposition of great vessels * Pyloric stenosis * Epispadias